Which of the following is not a coagulative necrosis-
1. Myocardial infarct
2. Kidney infarct
3. Brain infarct
4. Adrenal infarct

Correct answer: 3. Brain infarct

Explanation: Tuberculosis is characterized by caseous necrosis
Caseous necrosis is a variant of coagulative necrosis.
Difference b/w caseous necrosis and coagulative necrosis

Caseous necrosis is so called because of its cheesy white appearance.
In contrast to coagulative necrosis where tissue architecture is maintained, in caseous necrosis, the tissue architecture is completely obliterated

Gangrene

Gangrene is a form of necrosis characterized by both liquefactive and coagulative necrosis.
It is more a clinical diagnosis rather than a true pattern of cell death.
Most commonly it occurs on a limb which has lost its blood supply and undergoes coagulative necrosis.
Sometimes the tissue changes lead to desiccation and mummification and this gangrene is termed dry gangrene.
If a bacterial superinfection occurs liquify active necroses supervene causing a wet gangrene.